Dorsal root ganglia have
1. Unipolar
2. Multipolar
3. Bipolar
4. Psudounipolar

Correct answer: 4. Psudounipolar

Explanation: Pseudounipolar neuron a unipolar neuron, almost always a primary sensory neuron, that was originally bipolar but whose two processes fused during development to form a single process that bifurcates at a distance from the cell body. One branch is structurally an axon with a myelin sheath but functions as a dendrite, with afferent conduction originating in a nerve ending.Ref: Ganong's review of medical physiology 23rd edition Page no: 81